Treatment of choice in severe dehydration is:
1. Isolyte P
2. Normal saline
3. Plasma
4. Ringer lactate

Correct answer: 4. Ringer lactate

Explanation: Ans: dRef: Pedia ghai, 6th ed, p. 274